The fastest acting schizonticidal drug among the following is:
1. Artemether
2. Mefloquine
3. Chloroquine
4. Proguanil

Correct answer: 1. Artemether

Explanation: Artemether-lumefantrine ​
Lumefantrine is an orally active, high efficacy, long-acting erythrocytic schizontocide, related chemically and in mechanism of action to halofantrine and MQ. Like the other schizontocides, vivax hypnozoites are not affected. Lumefantrine is highly lipophilic; absorption starts after 2 hours of ingestion and peaks at 6-8 hours. Antimalarial action is slower than CQ. Plasma protein binding is 99%, and it is metabolized predominantly by CYP3A4. Terminal t½  is  2- 3 days, which is prolonged to 4 -6 days in malaria patients. ​
Lumefantrine is used only in combination with artemether, as FDC tablets. The two components protect each other from plasmodial resistance. ​
As  such, no clinically relevant resistance has developed so far. Clinical efficacy is high achieving 95- 99% cure rate. Artemether-lumefantrine is  active even in multidrug resistant Plasmodium falciparum areas, including  MQ-resistant.​
Key Concept:​
Artemisinin derivatives like dihydroartemisinin, arteether and artemether, etc., are fastest acting  antimalarial drugs.​
Reference: Essentials of Medical Pharmacology Eighth Edition KD TRIPATHI page no 889​
​